Respired lung weight as compared to body weight is:-
1. 10-Jan
2. 20-Jan
3. Jan-35
4. Jan-70

Correct answer: 3. Jan-35

Explanation: Plocquet's test : The ratio of weight of lung to weight of body changes from 1:70 before respiration to 1:35 after respiration